Before conducting the inquest, police should inform:
1. Director general police
2. Sessions Judge
3. Executive Magistrate
4. Senior police officer

Correct answer: 3. Executive Magistrate

Explanation: Ans. Executive Magistrate